The operating temperature in an ethylene oxide sterilization during a warm cycle is
1. 49-63oC
2. 92- 110oC
3. 20-35oC
4. 68-88oC

Correct answer: 1. 49-63oC

Explanation: Ethylene Oxide sterilization (High level disinfectant) Cold cycle starts at 37 + 5 oC Warm cycle starts at 54 + 5 oC ETO is Highly penetrating gas It is used for sterilizing plastic ,rubber particles , Respirators, Heart lung machine , disposable plastic syringes , petri dishes Bacillus Globigi used as biological indicator for ethylene oxide sterilizer